All have chances of DVT except -
1. Hip fracture & resting
2. Young < 25yrs age
3. Decreased protein C & S
4. Factor V defect

Correct answer: 2. Young < 25yrs age

Explanation: Ans. is 'b' i.e., Young <25 yrs. Risk factors for DVT -o Advanced Age# Major abdominal.''orthopedic surgery/major trauma# Prolonged immobilisation (>3 days)# HRT and OCP use# Pregnancy and puerperium# Malignancy# Obesity/Diabetes/CHF/Shock# Nephrotic syndrome# Varicose veins# Antiphospholipid antibody syndrome# Myeloproliferative disease# Tobacco Smoking